Hairs are preserved in which poisoning:-
1. Arsenic
2. Manganese
3. Phosphorous
4. Alcohol

Correct answer: 1. Arsenic

Explanation: Poison Organ preserved Nux vomica Aconite Alcohol / any cerebral poison Metal (chronic) - arsenic, antimony, thallium Volatile poisoning (gas) - Spinal cord/ - Heart - Brain - Bone, hair, nail - Lungs